Increase in the height of child from 1 to 3 yrs
1. 10cms
2. 15cms
3. 20cms
4. 25cms

Correct answer: 3. 20cms

Explanation: Height at 1yr is 75cm and at 4 yrs is 100cms. So increase in height from 1-4 yrs is 25cms Height at 2yrs is 90 cms.So increase in height from 1-2 yrs is 15cms Hence, increase in height from 1-3 yrs should fall between 15 to 25cms. Ref: Ghai,9th edition, Table 2.3